Guaneri bodies are found in:
1. Small Pox
2. Herpes virus
3. Adenovirus
4. Coxsackie virus

Correct answer: 1. Small Pox

Explanation: Ref: Ananthanarayan, Paniker CJ. Textbook of Microbiology. 6th Ed. London: John Wiley tfc Sons; 2000. & Jcovet:.. Review of Medical Microbiology. 2007Explanation:Inclusion bodies are nuclear or cytoplasmic aggregates of stainable substances, usually proteins. They typically represent sites of viral multiplication and usually consist of viral capsid proteins. They can be classified based on location, staining property and size as follows:LocationCytoplasm - Eg: PoxvirusN ucleus -- Cowdry type Ao Variable size Sc granularo Eg: Herpes, Yellow fever (Type A: HAY)- Cowdry type Bo Well circumscribed & multipleo Eg: Adenovirus, Polio (Type B: BAP)Both - Eg: MeaslesStaining propertyEosinophilic (Pink) - Most viral infections. Eg: Negri bodies (Rabies)Basophilic (Blue) - Eg: AdenovirusSizeSmall, multiple inclusion - Eg: Guarneri bodies (Vaccinia, Smallpox)Large inclusions - Eg: Bollinger bodies (Fowl pox)Very large inclusions - Eg: Molluscum bodies (Henderson Paterson bodies)